Iron absorption is increased by:
1. Phytates
2. Tannates
3. Plant food
4. Ascorbic acid

Correct answer: 4. Ascorbic acid

Explanation: d. Ascorbic acid(Ref: Nelson's 20/e p 2323-2325, Ghai 8/e p 334-335)Iron Absorption* Site of iron absorption: duodenum and upper jejunum; Ferrous form (Fe2+) of iron is absorbedQ* Transport of (Fe2+) into enterocyte occurs via DMT1Q Increased byDecreased by* Acids e.g. ascorbic acid (Vitamin C)Q* Amino acid containing SH-group* Alkalies* Phosphates and PhytatesQ* Tetracycline* Presence of other food in stomach